Marker of Chronic Kidney disease
1. NGAL
2. Kim - 1
3. Asymmetric Dimethylarginine
4. All of the above

Correct answer: 4. All of the above

Explanation: Others:
Liver type Fatty acid Binding protein.